IGF-1 acts through which of the following receptors?
1. Cytokine related receptor
2. G protein couple receptor
3. Tyrosine kinase receptor
4. Nuclear or cytoplasmic

Correct answer: 3. Tyrosine kinase receptor

Explanation: - Hormones that use receptor tyrosine kinase - Fibroblast growth factor (FGF) Hepatocyte growth factor (HGF) Insulin like growth factor - I (IGF-I) Vascular endothelial growth factor (VEGF) P - prolactin I - insulin G - growth hormone.